Structure passing deep to sacrococcygeal ligament are all except
1. S5 nerve
2. Coccygeal nerve
3. Filum terminale
4. Internal pudendal artery

Correct answer: 4. Internal pudendal artery

Explanation: Ans: D Internal pudendal aerylRef. Textbook of human anatomy Part-3 p. 811Structures passing through sacral hiatus (deep to sacrococrygeal ligament) are :-5th sacral nerveCoccygeal nerveFilum terminale